Exogenous adrenaline is metabolized by
1. Acetyltransferase
2. Reuptake
3. COMT
4. AchE

Correct answer: 3. COMT

Explanation: Endogenous adrenaline action is terminated mainly by reuptake whereas exogenous agent is metabolized by COMT and MAO.